Laser iridotomy is useful in
1. Angle closure glaucoma
2. Neovascular glaucoma
3. Open angle glaucoma
4. Secondary glaucoma

Correct answer: 1. Angle closure glaucoma

Explanation: Ans. (a) Angle closure glaucomaRef.: A.K. Khurana 6th ed. 1247